Owl eye inclusion bodies are seen in?
1. HSV
2. CMV
3. EBV
4. Hepatitis B

Correct answer: 2. CMV

Explanation: Ans. (b) CMV(Ref: Robbins 9th/pg 1266)Enlarged cells (cytomegaly) with intranuclear and intra- cytoplasmic inclusions are seen with cytomegalovirus infection. QThe intra nuclear inclusions appear like owl's eye inclusions in stained tissue sections